If there is a Gs alfa subunit gain-of-function mutation, this results in:
1. Decreased cAMP
2. Decreased IP3
3. Increased GTPase activity
4. Increased cAMP

Correct answer: 4. Increased cAMP

Explanation: D i.e. Increased cAMPGs-a subunit gain would cause increased adenyl cyclase level - ultimately resulting in increased c-AMP levelQ, (because adenyl cyclase converts ATP to c-AMP).